ABG of a patient shows following findings Ph 7.0 Pco2 -80 HCO3- 24. What is your inference
1. Metabolic acidosis
2. Metabolic alkalosis
3. Respiratory acidosis
4. Respiratory alkalosis

Correct answer: 3. Respiratory acidosis

Explanation: Normal pH is 7.35 - 7.45: So this patient is in acidosis Normal PaCo2 is 35-45 mm of Hg: Increased PaCO2 means respiratory acidosis Normal HCO3- is 22-26 mEq/L: this is in the normal range So the patient has Respiratory acidosis with no metabolic compensation. ** If HCO3- is elevated, then we can say there is metabolic compensation. ref - harrisons internal medicine 20e pg322